Current mode of analgesia best for intrapartum pain relief –
1. Epidural analgesia
2. Spinal anaesthesia
3. Inhalational
4. Local analgesia

Correct answer: 1. Epidural analgesia

Explanation: Continuous lumbar epidural analgesia is the procedure of choice for pain relief during normal labor and vaginal delivery.